Richter's syndrome refers to which of the following malignant transformation?
1. CLL evolving into aggressive lymphoma
2. Hairy cell leukemia evolving to AML
3. Blast crisis in CML
4. Splenic infiltration in NHL

Correct answer: 1. CLL evolving into aggressive lymphoma

Explanation: Richter's transformation or Richter's syndrome is a complication of B cell chronic lymphocytic leukemia (CLL) or hairy cell leukemia (HCL) in which the leukemia changes into a fast-growing diffuse large B cell lymphoma.